Raised intracranial pressure should be suspected when there is
1. Neck stiffness
2. Sixth cranial nerve palsy
3. Episodic unilateral headache
4. Unilateral ptosis

Correct answer: 2. Sixth cranial nerve palsy

Explanation: Manifestations of raised intracranial pressure Loss of consciousness 6th nerve palsyAnisocoriaCheyne- Stokes breathingHeadacheDecreased vision Seizures Enlarged blind spot Bilateral ptosis Back pain PapilledemaCushing's triad - increased systolic blood pressure, a widened pulse pressure, bradycardia, and an abnormal respiratory patternPersonality or behavioral changesCranial nerve palsies(Refer: Harrison's Principles of Internal Medicine, 18th edition, pg no: 238-239)